Tripod marks are placed on the cast after surveying for
which of the following reasons:
1. To record the undercut areas on the abutment teeth
2. To mount the cast on the articulator
3. To record the orientation of the cast to the articulator
4. To record the orientation of the cast to the surveyor

Correct answer: 4. To record the orientation of the cast to the surveyor